Number of (+) for tubercle bacilli if count in AFB sample is > 10 per oil immersion fields ?
1. +
2. ++
3. +++
4. Scanty

Correct answer: 3. +++

Explanation: Ans. is 'c' i.e., +++ o The number of bacilli seen in a smear reflects disease severity and patient infectivity. o Therefore, it is important to record the number of bacilli seen in each smear.